The most important mechanism by which gram negative bacilli acquire chloramphenicol resistance is:
1. Decreased permeability into the bacterial cell
2. Acquisition of a plasmid encoded for chloramphenicol acetyl transferase
3. Lowered affinity of the bacterial ribosome for chloramphenicol
4. Switching over from ribosomal to mitochondrial protein synthesis

Correct answer: 2. Acquisition of a plasmid encoded for chloramphenicol acetyl transferase

Explanation: Resistance to chloramphenicol is usually by a plasmid encoded enzyme acetyltransferase which inactivates the drug. it can also be due to decreased permeability of the drug into the cell and also due to ribosomal mutation. Antimicrobial resistance through inactivating enzymes develops against: A: Aminoglycosides B: Beta lactams C: Chloramphenicol